Renal plasma flow value is:
1. 350 mL/ min
2. 650 mL/ min
3. 950 mL/ min
4. 1250 mL/ min

Correct answer: 2. 650 mL/ min

Explanation: Ans. B i.e. 650 mL/min